All are useful for management of severe Clostridium difficle treatment except -
1. Intravenous metronidazole
2. Neomycin enema
3. Fecal transplant
4. Tigecycline

Correct answer: 2. Neomycin enema

Explanation: Ans. is 'b' i.e., Neomycin enema Treatment of nonsevere Clostridium diffid-assodateddiarrhea in adultsInitial episodeo Mild diseaseo Severe diseaseo Severe complicated or fulminant- metronidazole- vancomycin- vancomycinFirst relapseo Confirm diagnosis.o If symptoms are mild, conservative management may be appropriate,o If antibiotics are needed, repeat treatment as in initial episode above,o Alternative: ftdaxomicin 200 mg orally twice daily for 10 days.Second relapseo Confirm diagnosis# Repeat vancomycin taper/pulseMultiple recurrences# Repeat vancomycin taperv'pulse# Vancomycin# Nitazoxanide# Fecal microbiota transplantation# IV immunoglobulin